NOT a feature of Atrial Septal defect among the
following
1. Complications include Left Atrial hypertrophy
2. Complications due to ASD are of late onset
3. Most Common Congenital heart disease presenting in Adult age
4. Wide fixed Split in 2nd heart sound

Correct answer: 1. Complications include Left Atrial hypertrophy

Explanation: Left Atrial hypertrophy is never seen in ASD.